Duret hemorrhage is seen in:
1. Brain
2. Kidney
3. Heart
4. Lung

Correct answer: 1. Brain

Explanation: Ans.:A (Brain) Duret hemorrhage is seen in brain.Duret Haemorrhage# "Progressive rise in ICP cause further downward herniation into the foramen magnum or coning. This result in shearing of perforators supplying the brainstem causing haemorrhage known as Duret haemorrhage. Tractional damage to pituitary stalk can result in Diabetes insipidus .With progressive herniation the pupils become midsize & unreacting. These are invariably irreversible events leading to brainstem death"- Love & Bailey 24thf611# In case of increased ICP downward herniation ofbrainstem occur, which cause stretching of perforators of Basilar artery & may results in bleed (Duret's haemorrhage). The local syndrome may include cashing triad" (arterial hypertension, bradycardia & respiratory irregularity) - Operative Neurosurgical Technique fry Henry- 5th/35"Duret haemorrage is small area of bleeding in ventral & paramedian part of upper brainstemfmidbrain & pons). It usually indicates a fatal outcome, however survival has been reported. Daignosis is made on CT or MRr-www.wikspedia.org/ wiki/Duret_haemorrage